All are components of gun-powder except -
1. Charcoal
2. Lead peroxide
3. Potassium nitrate
4. Sulphur

Correct answer: 2. Lead peroxide